Features of strychnine poisoning -
1. Gradual onset of symptoms
2. Duration of rigor mortis is shorter
3. All muscles not affected at given time
4. Between fits muscles are slightly rigid

Correct answer: 2. Duration of rigor mortis is shorter

Explanation: Rigor mortis sets in almost immediately after death and passes of early –
Signs and symptoms appear within 1 to 2 hours.
Convulsions affect all muscles at the same time.
Between convulsions the muscles are completely relaxed.